Which is not true of obstructive sleep apnea?
1. Nocturnal asphyxia
2. Alcoholism is a cofactor
3. Prone to hypertension
4. Spirometry is diagnostic

Correct answer: 4. Spirometry is diagnostic

Explanation: An overnight sleep study, or polysomnography, is required to diagnose OSA. PSG: in-laboratory measurement of sleep architecture and EEG arousals, eye movements, oximetry, snoring, and leg movements OSAHS raises 24-h mean blood pressure.